In coarctation of aorta the rib changes are seen from:
1. 1-12th
2. 3-6th
3. 4-9th
4. 8-12th

Correct answer: 3. 4-9th

Explanation: Ans. 4-9th